Branches of celiac trunk are all except-
1. Splenic artery
2. Left gastric artery
3. Hepatic artery
4. Inferior phrenic artery

Correct answer: 4. Inferior phrenic artery

Explanation: Ans. is 'd' i.e.. Inferior phrenic artery Inferior phrenic artery is a branch of abdominal aorta, not of Celiac trunk. Branches of Celiac trunk is a extremely important topic for PG exams. Branches of important arteries are very often asked in PG exams. I am giving a list of important arteries. Learn their branches by heart if you want to get selected Celiac trunk Superior mesentric artery Inferior mesentric artery Abdominal aorta Thoracic aorta Internal iliac artery Subclavian artery Axillary artery Carotid artery Maxillary artery Basilar artery Don't waste time on learning the course or relation of arteries. They are never or very rarely asked.